Budd - Chiari Syndrome occurs in:
1. Antithrombin deficiency
2. Protein C deficiency
3. Oral contraceptive use
4. All of the above

Correct answer: 4. All of the above

Explanation: (All of the above) (336, 627, 1862, 1874-H 16th) (612-13-CMDT-09) (362, 661, 733,1945, 1990-Hl7th)BUDD-CHIAR1 SYNDROME (Hepatic vein obstruction)* Many cases associated with polycythemia vera or other proliferative diseases* Predisposition to thrombosis (e.g. - hyperprothrombinemia) factor II G20210 A mutation) activated protein C resistance (Factor V Leiden mutation) Protein C or S or antithrombin deficiency, the methylenetetrahydro folate reductase mutation, antiphospholipid antibodies can be identified.* Right sided heart failure or constrictive pericarditis, neoplasm.* Paroxysmal nocturnal hemoglobinuria, Behcet's syndrome blunt abdominal trauma, use of oral contraceptives and pregnancy.* Cytotoxic agents and pyrrolizidine alkaloids ("bush teas")The screening test of choice is colour or pulsed Doppler ultrasonography